True about carcinoma eosphagus is-
1. Most common site is lower end
2. Both adeno and suqamous cell carcinoma occur
3. Commonest histology is adenocarcinoma
4. More common in females

Correct answer: 2. Both adeno and suqamous cell carcinoma occur

Explanation: Ans. is b i.e. Both adeno & squamous cell Ca occur